Rheumatic activity involves mosfly......valves
1. Aortic & tricuspid
2. Aortic & pulmonary
3. Mitral & tricuspid
4. Mitral & aortic

Correct answer: 4. Mitral & aortic

Explanation: Ref: R Alagappan - Manual of Practical Medicine 4th Edition.pg no:147 Valve Involvement in Rheumatic Heart Disease Mitral valve alone 50% Aortic valve alone 15-20% Mitral and Aortic valves together 35-40% Mitral, Aortic and Tricuspid valves 2-3% Pulmonary valve is virtually never involved. In RHD, mitral valve is most commonly involved followed by involvement of the aortic valve as the pressure gradient across the mitral valve is the greatest, followed by that across the aortic valve. So, the mitral valve is more susceptible to develop pathological changes than the aortic valve